Erythropoiesis in first two months of gestation age takes place in
1. Yolk sac
2. Placenta
3. Amniotic sac
4. Chorion

Correct answer: 1. Yolk sac

Explanation: In the first 2 month of gestation. the yolk sac is the main site of blood formation (MESOBLASTIC PHASE) Ref: Medical Physiology Indu Khurana 2015 edition pAge No:104